Which of the following pharmacological feature is similar for both "me-too drug" & "prototype drug"?
1. Mechanism of action
2. Absorption
3. Metabolism
4. Elimination

Correct answer: 1. Mechanism of action

Explanation: Me-too drug or Follow-on drug : A drug that is structurally very similar to already known drugs with only minor differences. It may differ with prototype drug in pharmacokinetic parameters but have similar mechanism of action and used for same conditions as the prototype drug used. Eg: Simvastatin, a me-too drug is a more effective than lovastatin, a prototype drug.